Brodie-Trendelenberg test is for
1. Testing sephenofemoral junction incompetence
2. DVT
3. Varicose veins
4. Perforators

Correct answer: 1. Testing sephenofemoral junction incompetence

Explanation: Ans. a (Testing saphenofemoral junction incompetence).(Ref. Bailey and Love, 25th/ 927)Following are the tests to know the nature of varicosities:1.Brodie Trendelenberg's test2Perthie's test3.Three bandage test4.Pratt's test (to map out level of perforators)5.Schwartz's test6.Morrisey's or cough impulse test7.Fegan's test BRODIE-TRENDELENBERG TEST- Brodie-Trendelenberg test is for testing saphenofemoral junction incompetence.- Brodie-Trendelenburg test is a maneuver for identifying sites of valvular incompetence.- Today, tourniquet tests have been virtually replaced by venous duplex ultrasound imaging, identifying points of venous refluxFEGAN'S METHOD- It is used to detect perforator incompetence in varicose veins,- It is a method to palpate the depression in deep fascia at the site of incompetent perforators and is marked with ink.